The approx. number of genes contained in the human genome is:
1. 40,000
2. 20,000
3. 80,000
4. 1,00,000

Correct answer: 2. 20,000

Explanation: There are roughly 3.2 billion DNA base pairs in the human genome. Out of the total genome there are about 20,000 protein encoding genes,which comprises only 1.5% of the genome.